All of the following statements are true except
1. Sucralfate should not be given with antacids
2. Cimetidine inhibits the metabolism of Ketoconazole
3. Omeprazole acts by inhibiting H+ K+ ATPase
4. Ranitidine acts by inhibiting H1 receptors

Correct answer: 4. Ranitidine acts by inhibiting H1 receptors

Explanation: Ranitidine inhibits H2 receptors, not H1 receptors.